All of the following statements about Burkitt's lymphoma are true, Except:
1. B cell lymphoma
2. 8, 14 translocation
3. Can present as an abdominal mass
4. Radiotherapy is the treatment of choice

Correct answer: 4. Radiotherapy is the treatment of choice

Explanation: Answer is D (Radiotherapy is the treatment of choice) The treatment of choice for Burkitt's Lymphoma is chemotherapy and not Radiotherapy. 'Burkitt's lymphoma responds well to short term high dose chemotherapy. Treatment of Burkitt's lymphoma in both children and adults should begin within 48 hours of diagnosis and involves the use of intensive combination chemotherapy regimens' - Harrisons Burkitt's Lymphoma is a B cell lymphoma Burkitt's Lymphoma are tumors of mature B cells - Robbins 7th/677 t (8;14) translocation is the most common translocation in Burkitt's Lymphoma Burkitt's lymphomas are associated with translocation of the c-MYC gene on chromosome 8. Translocation t (8; 14) t (8; 22) t (2; 8) Burkitt's Lymphoma may present with an abdominal mass Most Burkitt's Lymphoma presents at extranodal sites but may present with lymphadenopathy Extranodal sites of involvement include the mandible and abdominal viscera `Burkitt's Lymphomas may present with peripheral lymphadenopathy or an intraabdominal mass' - Harrison CNS involvement is frequent The disease is rapidly progressive and has a propensity to metastasize to CNS, prophylactic therapy to CNS is therefore mandatory. Burkitt's Lymphoma is the most rapidly progressive human tumor